A school going boy was noted with vacant stare several times a day. There was no history of fever , seizures and neurological deterioration. What is the Diagnosis
1. Atonic seizures
2. Absence seizures
3. Myoclonic seizures
4. School phobia

Correct answer: 2. Absence seizures

Explanation: During an absence seizure, your brain's electrical signals repeat themselves. A person who has absence seizures may also have altered levels of neurotransmitters. Hyperventilation or flashing lights may trigger an absence seizure in others. Doctors may never find a specific cause for some patients. Symptoms An indication of simple absence seizure is a vacant stare, which may be mistaken for a lapse in attention that lasts about 10 seconds, though it may last as long as 20 seconds, without any confusion, headache or drowsiness afterward. Signs and symptoms of absence seizures include: Sudden stop in motion without falling Lip smacking Eyelid flutters Chewing motions Finger rubbing Small movements of both hands. Reference: GHAI Essential pediatrics, 8th edition